Lung cysts are caused by which parasite -
1. Ascaris
2. Toxocara
3. Trypanosoma
4. Echinococcus

Correct answer: 4. Echinococcus

Explanation: Ans. is 'd' i.e., Echinococcus LOCALIZATION OF PARASITE IN HUMAN BODYOrgan/ tissueProtozoan parasitesHelminthsMuscle* Toxoplasma gondii* Trichinella spiralis* Gnathostoma spinigerum* Spirometra* Echinococcus* Taenia solium (cysticercus cellulosae)Brain* Acanthamoeba sp* Entamoeba histolytica* Naegleria fowleri* Plasmodium falciparum* Trypanosoma brucei* Trypanosoma cruzi* Toxoplasma gondii* Angiostrongylus Cantonensis (larva)* Echinococcus granulosus (Hydatid cyst)* Gnathostoma spinigerum (larva)* Paragonimus westermani (adult)* Schistosoma japonicum (egg)* Spirometra sp (larva)* Toxocara sp (larva)* Taenia multiceps* Taenia solium (cysticercus cellulosae)Eyes* Acanthamoeba* Gnathostoma spinigerum(larva)* Loa-Loa (adult)* Onchocerca (microfilaria)* Echinococcus (hydatid cyst)* Toxocara (larva)Heart* Trypanosoma Cruzi* Echinococcus (hydatid disease)* Toxocara (Larva)Lymph nodes* Trypanosoma brucei* Toxoplasma gondii* B malayi* W bancroftiLiver* E histolytica* Leishmania donovani* Plasmodium* Ascaris (larva)* Echinococcus (hydatid cyst)* Fasciola hepatica* Clonorchis sinensis* Opisthorchis viverrini* Opishorchis felnicus* ToxocaraLung* E histolytica* Leishmania donovani* Trypanosoma cruzi* Ascaris lumbricoides (larvae)* Echinococcus granulosus (hydatid cyst)* Ancylostoma duo den ale (larvae)* Nector americanus (larvae)* Strongyloides stercoralis (larvae)* Toxocara (larvae)* Paragonimus westermaniSpleen* Leishmania donovani* Plasmodium falciparum* E. granulosus (hydatid cyst).